Stereotactic radiosurgery uses all except –
1. Proton
2. Electron
3. Linear accelerator
4. Gamma knife

Correct answer: 2. Electron

Explanation: Stereotactic radiosurgery uses :- (i) Ca - 60 (Gamma knife); (it) X-ray knife (Linear accelerator); (iii) Cyclotron (Proton beam).